A 46-year-old woman presents with a 6-month history of vague upper abdominal pain after fatty meals, some abdominal distension, and frequent indigestion. Physical examination shows an obese woman (BMI =32 kg/m2) with right upper quadrant tenderness. A CT scan discloses gallstones and an ectopic kidney. Which of the following is the expected location of the ectopic kidney?
1. Adjacent to gallbladder
2. Attached to the left adrenal gland
3. Fused laterally with the contralateral kidney
4. Pelvis

Correct answer: 4. Pelvis

Explanation: Most ectopic kidneys are located along the pathway of renal migration during fetal development and are caudal to their normal lumbar position. During fetal life, the kidneys are initially located in the lower abdomen. As development progresses, they normally move upward toward their permanent position. Kidneys that do not reach the lumbar area but remain in the pelvis or presacral area are considered ectopic. Fusion of both kidneys results in so-called "horseshoe" kidney.Diagnosis: Ectopic kidney